"Tumbling" motility is shown by:
1. Proteus
2. Coli
3. Vibrio
4. Listeria

Correct answer: 4. Listeria

Explanation: Listeria